Which of the following statement is FALSE regarding Hepatitis C Virus?
1. Has single-stranded RNA
2. Associated with hepatocellular carcinoma
3. Hepatocellular injury caused by viral replication
4. Serologic testing detects antibody to HCV

Correct answer: 3. Hepatocellular injury caused by viral replication

Explanation: Hepatitis C is associated with hepatocellular carcinoma. It is an enveloped virus with one piece of single-stranded, positive-polarity RNA. Most common mode of transmission is blood. Sexual transmission and transmission from mother to child is also possible. Hepatocellular injury is caused by cytotoxic T cells and not by replicating virus. Serologic testing can detect antibody to HCV. A PCR-based assay for viral load can screen for active infection. 50% lead to chronic career state. Pegylated alpha interferon, is used in treatment for symptomatic relief. Ref: Levinson W. (2012). Part IX. Brief Summaries of Medically Important Organisms. In W. Levinson (Ed), Review of Medical Microbiology & Immunology, 12e. Retrieved November 28, 2012